Which of the following disorder has been shown to be genetically transmitted by single autosomal dominant genes
1. Catatonic schizophrenia
2. Phenylketonuria
3. Creutzefeldt Jakob's disase
4. Huntington's disease

Correct answer: 4. Huntington's disease

Explanation: Huntington's disease is an autosomal dominant disease characterized by progressive movement disorder and dementia, caused by degeneration of striatal neurons refer 17th/401.Robbins8th/1393,